Imaging IOC for acute pancreatitis
1. CT scan
2. USG
3. X ray
4. MRI

Correct answer: 1. CT scan

Explanation: Ans. (a) CT ScanRef: Sabiston Page 1530/ 20th edition* The imaging investigation of choice for acute pancreatitis is CECT scan.* CECT scan is done after 72 hours of onset- ideally on the 7th day.